Which of the following is reversible enzyme:
1. Pyruvate kinase
2. Pyruvate dehydrogenase
3. Lactate dehydrogenase
4. Hexokinase

Correct answer: 3. Lactate dehydrogenase

Explanation: (Option c) Lactate dehydrogenase (pyruvate - lactate)is reversible. LDH converts lactate to pyruvate in liver pyruvate to lactate in muscle Pyruvate dehydrogenase - link reaction(irreversible)(Option b) 3 enzymes of glycolysis are irreversible Hexokinase/Glucokinase, Phosphofructokinase-1 Pyruvate kinase.